In malignant hypertension, hallmark is -a)  Fibrinoid necrosisb)  Hyperplastic arteriolesc)  Hyalinizationd)  All of the above
1. ac
2. ab
3. ad
4. bc

Correct answer: 2. ab